True about Perseveration?
1. Persistent and inappropriate repetition of same words
2. Clang association
3. Characteristic of schizophrenia
4. Word salad

Correct answer: 1. Persistent and inappropriate repetition of same words

Explanation: Ans. A. Persistent and inappropriate repetition of same wordsPerseveration: it is mental operations tend to persist beyond the point of relevance in response to a question.For e.g. a person is asked1. What is your name? he gives correct answer2. Where u live? he gives the same answer but not relevant3. What u do? He again gives the same answerIt is a sign of organic brain disease-- nearly pathognomic sign but may be seen in schizophrenia. It is of 3 types:* Compulsive repetition* Impairment of switching* Ideational perseveration